MC complication of chicken pox in children ?
1. Encephalitis
2. Sec. bacterial infection
3. Pneumonia
4. Otitis media

Correct answer: 2. Sec. bacterial infection

Explanation: Ans. is 'b' i.e., Sec. bacterial infection o The most common infectious complication of varicella is secondary bacterial superinfection of the skin,which is usually caused by streptococcus pyogenes or Staphylococcus aureus. The most common extracutaneous site of involvement in children is CNS --> Miningitis, Encephalitis, Cerebellar, ataxia, Reye's syndrome Varicella pneumonia is the most serious complication following chickenpox in adults.